An elderly patient delayed seeking medical attention for his early satiety and weight loss because he attributed these changes to aging. When he underwent upper endoscopy a large mass was seen in the stomach. Which statement is TRUE regarding gastric carcinoma?
1. During resection, it is safe to leave cancer at the cut edges.
2. The incidence is increased in patients with gastric ulcer disease.
3. Draining lymph nodes should not be removed.
4. It is caused by diverticulitis.

Correct answer: 2. The incidence is increased in patients with gastric ulcer disease.

Explanation: There is an increased incidence of gastric cancer in patients with gastric ulcer disease. The overall 5-year survival is 12%, but it can be as high as 35% if the nodes are negative (and 7% if the nodes are involved). It is important that the cut edges are free of tumor otherwise the cancer will recur. Proximal lymph nodes should be removed from the stomach. The extent of lymph node dissection remains controversial. Extended D2 lymph nodes dissections are performed in Japan and demonstrate improved survival. These results have not been replicated in the West.